Glove and stocking pattern of postmortem staining, indicates death due to what cause?
1. Hanging
2. Drowning in river
3. Submersion in water
4. Cyanide poisoning

Correct answer: 1. Hanging

Explanation: Lower parts of forearms and hands, legs and external genitalia gets stained in cases of hanging, give the appearance of glove and stocking pattern of post mortem staining.